Calcitonin is produced by
1. Thyroid
2. Pituitary
3. Pancreas
4. Hypothalamus

Correct answer: 1. Thyroid

Explanation: Calcitonin (also known as thyrocalcitonin) is a 32-amino acid linear polypeptide hormone that is produced in humans primarily by the parafollicular cells (also known as C-cells) of the thyroid, and in many other animals in the ultimobranchial body. It acts to reduce blood calcium (Ca2+), opposing the effects of parathyroid hormone (PTH). Calcitonin has been found in fish, reptiles, birds, and mammals. Ref: Ganong's review of medical physiology; 24th edition; page no-377